Sickness absenteeism is a useful index to assess:
1. Workers-management relationship
2. Working environment
3. State of health of workers
4. Sincerity of the workers

Correct answer: 3. State of health of workers

Explanation: Ans: C (State of health of workers) Ref: Textbook of Preventive and Social Medicine, K. Park, 20th edition, page 715Explanation:Sickness absenteeism is a useful index in industry to assess the state of health of workers, and their physical, mental and social well-being.Sickness absence is an important health problem in industry. The other options such as workers management relationship will impact the mental health of the workers; working environment will impact the physical and mental well-being of the individual. So option C indirectly includes A, B.